Muscle of Arm with additional supinator action?
1. Brachialis
2. Biceps
3. Coracobrachialis
4. Triceps

Correct answer: 2. Biceps

Explanation: Ans. is 'b' i.e., Biceps